Engaging diameter in brow presentation is
1. Mento-vertical
2. Mento-bregmatic
3. Suboccipito-bregmatic
4. Occipito-frontal

Correct answer: 1. Mento-vertical

Explanation: Brow presentation : Engaging diameter of head is Mentovertical which is 14 cm The position is commonly unstable and converts to either vertex or face presentation Position can be confirmed by Palpating supraorbital ridges and anterior fontanel. Ref: Dutta Obs 9e pg 367.